All of the following muscles undergo paralysis after injury to C5 & C6 nerves except?
1. Biceps
2. Corachobrachialis
3. Brachialis
4. Brachioradialis

Correct answer: 2. Corachobrachialis

Explanation: Muscles paralysed in C5, C6 injury (Erb's palsy)1. Complete paralysis: Biceps, deltoid, brachialis, brachioradialis2. Partial: Supraspinatus, Infraspinatus, supinator